Drug which interferes or hampers the effectiveness of OCP are all except aEUR'
1. Aspirin
2. Tetracycline
3. Rifampicin
4. Phenytoin

Correct answer: 1. Aspirin

Explanation: Aspirin